Brain death indicated by suppression of reflexes all except?
1. Oculovestibular
2. Corneal
3. Pharyngeal
4. Patellar tendon

Correct answer: 4. Patellar tendon

Explanation: Ans. is 'd' i.e., Patellar tendon Clinical criteria for diagnosis of brain death is : Coma (widesperead cortical destruction) : There is unresponsiveness to all form of stimuli. Stimuli do not produce any motor responceexcept spinally mediated reflexes, i.e. spinal reflexes may be intact e.g. deep tendon reflex. Absent of brainstem reflexes : Pupillary reflex, oculovestibular reflex, corneal reflex, pharyngeal and tracheal reflexes. Signs of brain stem (lower) destruction : Apnea, pulse rate invariant and unresponsive to atropine.